Length of C.P.I.T.N. probe is
1. 14.0 mm
2. 13.0 mm
3. 11.5 mm
4. 12.5 mm

Correct answer: 3. 11.5 mm